Which of the following statements is true of ketorolac?
1. Has potent anti-inflammatory activity
2. Its analgesic efficacy is equal to morphine in postoperative pain
3. Is used as preanaesthetic analgesic
4. It interacts with opioid receptor

Correct answer: 2. Its analgesic efficacy is equal to morphine in postoperative pain

Explanation: Ketorolac: potent analgesic and modest anti-inflammatory activity. In postoperative pain, it has equaled the efficacy of morphine, but does not interact with opioid receptors and is free of opioid side effects. it inhibits PG synthesis and relieves pain by a peripheral mechanism. rapidly absorbed after oral and i.m. administration. It is highly plasma protein bound and 60% excreted unchanged in urine. A major metabolic pathway is a glucuronidation. plasma t1/2 is 5-7 hours. Adverse effects: Nausea, abdominal pain, dyspepsia, ulceration, loose stools, drowsiness, headache, dizziness, nervousness, pruritus, pain at the injection site, rise in serum transaminase and fluid retention have been noted. Use: Ketorolac is frequently used in postoperative, dental and acute musculoskeletal pain: 15-30 mg i.m. or i.v. every 4-6 hours (max. 90 mg/day). It may also be used for renal colic, migraine, and pain due to bony metastasis. Continuous use for more than 5 days is not recommended. ESSENTIALS OF MEDICAL PHARMACOLOGY;7TH EDITION;KD TRIPATHI;PAGE NO 202